Maximum first pass metabolism is seen by which route:
1. Oral
2. Subcutaneous
3. Rectal
4. Sublingual

Correct answer: 1. Oral

Explanation: Ans. A. OralWhen drug is administered orally, it goes into portal circulation, then goes into the liver and thus reaching the site of action. First pass metabolism is seen with oral and rectal route.